Serology of a young man shows HBsAg, however HBeAg is negative with normal levels of AST and ALT. He is asymptomatic. What is the next line of management?
1. Wait and watch
2. Antivirus
3. Immunoglobulins
4. Liver transplant

Correct answer: 1. Wait and watch

Explanation: Ans. (a) Wait and watch In hepatitis B, among previously healthy adult who present with clinically apparent acute hepatitis recovery ocurs in 99% therefore, antiviral therapy is not likely to improve the rate of recovery and is not required. In this case also patient is virtually asymptomatic, so no treatment is required.